Best site to demonstrate capillary filling in infants?
1. Nail bed
2. Sternum
3. Ear lobule
4. Great toe

Correct answer: 2. Sternum

Explanation: Ans. is 'b' i.e., Sternum o The state of microcirculation can be assessed by capillary filling time (CFT) o Firm pressure is applied over sternum or forehead by a ball of the thumb for 5 seconds. This leads to blanching. o On removal of pressure color returns. The time taken for complete return of color is designated as capillary filling time, the normal is less than or equal to 3 sec. o Prologed CFT is the earliest sign signifying impairment or microcirculation.